Cherry red spot is seen in all of the following conditions, except:
1. GMl gangliosidosis
2. Niemann pick disease
3. Krabbe's disease
4. Multiple sulfatase deficiency

Correct answer: 3. Krabbe's disease

Explanation: Krabbe's disease is a rare autosomal recessive neuro degenerative disorder. It is not associated with a cherry red spot. Ref: Pediatric Retina: Medical and Surgical Approaches By Mary Elizabeth Hartnett, 2005, Page 84; Pediatric Pathology, Volume 2 By J. Thomas Stocker, Louis P. Dehner, 2001, Page 427.